Endemic relapsing fever is caused by all except?
1. Borrelia duttonii
2. Borrelia hermsii
3. Borrelia parkeri
4. Borrelia recurrentis

Correct answer: 4. Borrelia recurrentis

Explanation: Endemic relapsing fever is caused by Borreliae duttoni,B.hermsii which normally live in their natural host rodents, or in other mammals which the vector takes feed. Borrelia recurrentis causes epidemic relapsing fever. It is also called louse borne relapsing fever. Characteristic corkscrew shaped appearance of Borrelia